Inferior vena cava, pierces the central tendon of the diaphragm at the level of
1. T8 vertebra
2. T10 vertebra
3. T12 vertebra
4. L1 vertebra

Correct answer: 1. T8 vertebra

Explanation: A. i.e. (T8 vertebra) (316-BDC-2 4th)INFERIOR VENA CAVA* The IVC is formed by the union of the right and left common iliac veins on the right side of the body of vertebra L5. It ascends in front of the vertebral column on the right side of the aorta, grooves the posterior surface of the liver, pierces the central tendon of the diaphragm at the level of vertebra T8 and opens into the lower and posterior part of the right atrium*** Superior vena cava - begins behind the lower border of the sternal end of the first right costal cartilage, pierces the pericardium opposite the second right costal cartilage and terminates by opening into the upper part of the right atrium behind the third right costal cartilage. It has no valves.